NOT of use in bipolar disorder:
1. Carbamazepine
2. Phenytoin
3. Sodium valproate
4. Lamotrigine

Correct answer: 2. Phenytoin

Explanation: B i.e. Phenytoin Phenytoin It acts to suppress the abnormal brain activity seen in seizure by reducing electrical conductance among brain cells by stabilizing the inactive state of voltage-gated sodium channels. Aside from seizures, it is an option in the treatment of trigeminal neuralgia in the event that carbamazepine or other first-line treatment seems inappropriate. It is sometimes considered a class lb antiarrhythmic.